Cloudy swelling is due to -
1. Accumulation of water intracellularly
2. Fat accumulation intracellularly
3. Lysozyme degeneration
4. Glycogen accumulation intracellularly

Correct answer: 1. Accumulation of water intracellularly

Explanation: Ans. is 'a' i.e., Accumulation of water intracellularyo Cloudy swelling of a cell is degenerative change, in which the cells swell due to injury to the membrane affecting ionic transfer, causing the cytoplasm to appear cloudy and water to accumulate between the cells, with resultant swelling of the tissue.o It is also called abominoid degeneration, hydropic degeneration or parenchymatous degeneration.